A patient presented with a history of fall on outstretched hand. There is pain & swelling over the radial aspect of the wrist without any obvious deformity. Radial styloid process is at a lower level than the ulnar styloid process. Tenderness can be elicited in anatomical snuff box. Findings are consistent with the diagnosis of:
1. Fracture scaphoid
2. Fracture Colle's
3. Fracture pisiform
4. Wrist osteoarthritis

Correct answer: 1. Fracture scaphoid

Explanation: Ans. A i.e. Fracture scaphoid Scaphoid Only carpal bone to undergo fracture as well as AVN: Scaphoid Fragment undergoing necrosis in fracture scaphoid: Proximal MC site of fracture scaphoid: Waist